Arrange the contents of cubital fossa medial to lateral
1. Median Nerve -Biceps tendon - Brachial artery- Radial nerve
2. Biceps tendon - Median Nerve - Brachial artery- Radial nerve
3. Median Nerve - Brachial artery - Biceps tendon - Radial nerve
4. Median Nerve - Radial nerve - Biceps tendon - Brachial artery

Correct answer: 3. Median Nerve - Brachial artery - Biceps tendon - Radial nerve

Explanation: Cubital fossa is a triangular hollow situated on the front of the elbow. Contents (medial to lateral)- M-Median nerve B-Brachial artery and it's branches B-Biceps brachi tendon S- Superficial branch of radial nerve* Lateral boundary is contributed by brachioradialis muscle, medially present is pronator teres and base is formed by an imaginary line connecting the two epicondyles.